Which of the following is/are true about lefos fracture
1. It is fracture of zygomatic bone
2. May cause CSF rhinorrhea
3. Type 1: complete separation of facial bones form the cranial bones
4. Classified as types 1 to 5

Correct answer: 2. May cause CSF rhinorrhea

Explanation: Answer- B.May cause CSF rhinorrheaLe Fort I (transverse)- crosses lower part of nasal septum, maxillary antra and the pterygoid plates.Le Fort II (pyramidal)- passes through the root ofnose, lacrimal bone, floor oforbit, upper part of maxillary sinus and pterygoid platesLe Fort III (craniofacial dysjunction)- There is complete separation offacial bones from the cranial bones.Clinical features of maxillary fracture-Malocclusion of teethMobility in the maxillaCSF rhinorrhoea.